A female G1P1 having positive UPT has a CuT without the visible strings per vaginum. What is the next course of action -
1. Immediate removal of Cu-T
2. Continue pregnancy with regular follow up
3. Medical termination of pregnancy
4. None of the above

Correct answer: 2. Continue pregnancy with regular follow up

Explanation: Ans. is 'b' i.e., continue pregnancy with regular follow up o Following are the course of action for Pregnancy with an IUCD in situ : # If string is visible - should be removed # If string is not visible - leave in situ; use instruments only under USG; combined use of USG and co2 hysteroscopy during early pregnancy.